Parasympathetic stimulation causes :
1. Decrease GI secretion
2. Bronchodilation
3. Sweat-secretion
4. Pupillary constriction

Correct answer: 4. Pupillary constriction

Explanation: D i.e. Pupillary constriction